UNICEF stands for
1. United nations international children's emergency fund
2. United Child educational fund
3. United nations international children's fund
4. United children evoking fund

Correct answer: 1. United nations international children's emergency fund

Explanation: UNICEF (United Nations International Children's Emergency Fund) was established in 1946 to deal with the rehabilitation of children in war-ravaged countries After emergency functions were over, general assembly gave it a new name "U.N Children's fund" retaining same initials.In early years, UNICEF and WHO worked together on urgent problems such as malaria, tuberculosis and venereal diseases. Later its assistance to countries covered such fields as maternal and child health, nutrition, environmental sanitation, health centres, health education and programmes which would directly or indirectly benefit child health.Park 23e pg: 922